Gestational diabetes is diagnosed by :
1. Glucose tolerance test
2. Random blood sugar
3. Fasting and postprandial blood sugar
4. 24 hours blood glucose profile

Correct answer: 1. Glucose tolerance test

Explanation: Glucose tolerance test